Which of the following is not supplied by anterior division of mandibular nerve V3?
1. Temporalis
2. Medial pterygoid
3. Lateral pterygoid
4. Masseter

Correct answer: 2. Medial pterygoid